Which of the following is neither metabolized by liver nor by kidney
1. Atracurium
2. Pancuronium
3. Vecuronium
4. Rocuronium

Correct answer: 1. Atracurium

Explanation: Atracurium * two separate processes for metabolism - Ester Hydrolysis (2/3)-catalyzed by nonspecific esterases - Hofmann Elimination (1/3)-spontaneous nonenzymatic chemical breakdown occurs at physiological pH and temperature